Heparin helps in the release of the enzyme
1. Hyluronidase
2. Lipoprotein lipase
3. Amylase
4. Invertase

Correct answer: 2. Lipoprotein lipase

Explanation: The repeating disaccharide heparin contains glucosamine (GlcN) and either of the two uronic acids (Figure 50-11). Most of the amino groups of the GlcN residues are N-sulfated, but a few are acetylated. The GlcN also carries a sulfate attached to carbon 6.Heparin is found in the granules of mast cells and also in liver, lung, and skin.It is an important anticoagulant. It binds with factors IX and XI, but its most important interaction is with plasma antithrombin(discussed in Chapter 55).Heparin can also bind specifically to lipoprotein lipase present in capillary walls, causing a release of this enzyme into the circulation.Reference: Harper biochemistry, 30th edition, page no 637